Rivastigmine & donepezil are drugs used predominantly in the management of ?
1. Depression
2. Dissociation
3. Delusions
4. Dementia

Correct answer: 4. Dementia

Explanation: Ans. is 'd' i.e., Dementia Rivastigmine, Donepezil, Galantamine and tacrine all are central cholinesterase inhibitors and are used in senile dementia of Alzheimer's desease.